The greater omentum is derived from which of the following embryonic structures?
1. Dorsal mesoduodenum
2. Dorsal mesogastrium
3. Pericardioperitoneal canal
4. Pleuropericardial membranes

Correct answer: 2. Dorsal mesogastrium

Explanation: Both the omental bursa and the greater omentum are derived from the dorsal mesogastrium, which is the mesentery of the stomach region.Must know:The dorsal mesoduodenum is the mesentery of the developing duodenum, which later disappears so that the duodenum and pancreas come to lie retroperitoneally.The pericardioperitoneal canal embryologically connects the thoracic and peritoneal canals. The pleuropericardial membranes become the pericardium and contribute to the diaphragm. Ref: Gray's Basic Anatomy: With Student Consult Online Access - Page 151